Anuria is defined as urine output less than
1. 4ml/hr
2. 8ml/hr
3. 12ml/hr
4. 16ml/hr

Correct answer: 1. 4ml/hr

Explanation: Anuria is nonpassage of urine, in practice is defined as passage of less than 100milliliters of urine in a day. Anuria is often caused by failure in the function of kidneys. It may also occur because of some severe obstruction like kidney stones or tumours. It may occur with end stage renal disease. It is a more extreme reduction than oliguria (hypouresis), with 100 mL/day being the conventional (albeit slightly arbitrary) cutoff point between the two Ref Harrison20th edition pg 277